Which of the following artery provides blood supply to lateral geniculate body?
1. Anterior cerebral artery
2. Middle cerebral artery
3. Posterior cerebral artery
4. Posterior communicating artery

Correct answer: 3. Posterior cerebral artery

Explanation: Posterior cerebral artery supplies the posteromedial aspect of the lateral geniculate body and thus nourishes the fibers coming from the superior homonymous quadrants of the retina. Anterolateral aspect of the LGB is supplied by the anterior choroidal artery, and thus it supplies the fibers coming from the inferior homonymous quadrants of the retina. The region of the hilum which contains the macular fibers is supplied by a rich anastomoses from both the posterior cerebral arteries and anterior choroidal arteries. Venous drainage of LGB is through basal vein. Ref: Textbook of Ophthalmology edited by Sunita Agarwa page 317.